Dhatura seeds resemble -
1. Risinus communis
2. Capsicum
3. Opium
4. None

Correct answer: 2. Capsicum

Explanation: Features Datura seeds Chili seeds On section Embryo curves outward Embryo curve inward towards hilum Taste Bitter Pungent Smell Odorless Pungent Surface Pitted Smooth Colo,Size Brownish, Bigger Yellowish, Smaller Shape Kidney shaped Round REF;THE SYNOPSIS OF FORENSIC MEDICINE:KS NARAYANA REDDY;28th EDITION;PAGE NO 345